Which of the following is obsolete in modern day clinical use?
1. Ra226
2. C060
3. Ir192
4. Cs137

Correct answer: 1. Ra226

Explanation: A i.e. Ra226